Antoni type A and type B are seen in
1. Neurofibroma
2. Neurilemmorna
3. Neurofibrosarcoma
4. Traumatic neuroma

Correct answer: 2. Neurilemmorna